Erb-Duchenne paralysis occurs by lesion to brachial plexus at the level of
1. C4-C5
2. C5-C6
3. C6-C7
4. C8-T1

Correct answer: 2. C5-C6

Explanation: Ans. b (C5-C6). (Ref: B & L, Surgery, 22nd ed., 380).Erb - Duchene paralysis- C5 and C6 join to form upper trunk of brachial plexus (ERB's point).- Nerve root involvedMainly C5 & C6.- Site of injuryUppertrunk of brachial plexus, six nerves meet here.- Cause of injuryUndo separation of the head from the shoulder, which is commonly encountered in Birth injury, Fall on shoulder, & during anaesthesia.- Muscle paralysedMainly biceps, deltoid, brachialis, brachioradialis, partly supraspinatus, infraspinatus & supinator.- DeformityArm hangs by the side; it's adducted & medially rotated, forearm is extended & pronated also called policemen tip hand or porter's tip hand.- Disability# Abduction & lateral rotation of arm.# Biceps & supinator jerks are lost.# Flexion & supinator of the forearm# Sensation lost over a small area over the lower part of deltoid.